All of the following are require in protein synthesis except
1. el F-1
2. mRNA
3. Mg +2
4. Ca +2

Correct answer: 4. Ca +2

Explanation: Elongation process of Translation has three steps : Binding of amino acyl tRNA to the A site. Peptide bond formation and Translocation of the ribosome on the mRNA. REFERENCE : DM.VASUDEVAN.TEXTBOOK ; SEVENTH EDITION ; PAGE NO :601